The average distance of the fovea from the temporal margin of the optic disc is:
1. 1 disc diameter
2. 2 disc diameter
3. 3 disc diameter
4. 4 disc diameter

Correct answer: 2. 2 disc diameter

Explanation: 2 disc diameter